The expression of the following oncogene is associated with a high incidence of Medullary carcinomas of thyroid
1. p53
2. Her 2 neu
3. Ret proto-oncogene
4. Rb gene

Correct answer: 3. Ret proto-oncogene